Tuberculate macroconidia is characteristic of
1. Darling's disease
2. Gilchrist's disease
3. Chicago disease
4. Desert rheumatism

Correct answer: 1. Darling's disease

Explanation: Tuberculate macroconidia seen in Histoplasmosis also called Darling's disease.